Which of the following is not a feature of RPGN?
1. Oliguria
2. Edema
3. Hypertension
4. Rapid recovery

Correct answer: 4. Rapid recovery

Explanation: Patients with RPGN presents with features of glomerulonephritis such as hematuria, edema and hypertension in association with a rapidly progressive loss of renal function. When untreated these patients rapidly develop end stage renal disease and death can occur within weeks to months. Reference: Robbins Pathologic Basis of Disease, 6th Edition, Page 951